Out of the following the true statement regarding sterlization is :
1. Dry heat is the best method of sterilization of liquid paraffin
2. All glass syringes are best sterilized by boiling at 1000C
3. Bacterial vacines are best sterilized by ethylene oxide
4. Pasteurization of milk by flash method is done by heating at 630C for 30 minutes

Correct answer: 1. Dry heat is the best method of sterilization of liquid paraffin

Explanation: Hot air oven : It is the most widely used method of sterilization by dry heat.
Holding period of 1600C for 1 hour is used to sterilize glasswares, forceps, scissors, scalpel, all glass syringes, swabs, liquid paraffin, dusting powder, fat and grease.
Bacterial vaccines are best sterilized by ‘Filters’.
Flash method involves heating at 730C for 15 seconds.
Holding method involves heating at 63 - 660C for 30 minutes.